The following is not characterstic of ARDS ?
1. Dyspnoea
2. Ability to maintain Pa02 on 100% oxygen
3. Bilateral crepts
4. Bilateral opacities on X-ray

Correct answer: 2. Ability to maintain Pa02 on 100% oxygen

Explanation: Ans. is 'b' i.e., Ability to maintain PaO, on 100% oxygen